Which of the following occurs in OSMF?
1. Stomatopyrosis
2. Vesicles, melanosis, and xerostomia
3. Blanched pallor hard subepithelial stiffness
4. All

Correct answer: 4. All